Attachment to the first rib is all except -
1. Scalenus anterior
2. Scalenus posterior
3. Scalenus medius
4. Suprapleural membrane

Correct answer: 2. Scalenus posterior

Explanation: Scalenus posterior is attached to the second rib.